Inverse agonist of GABA receptor is
1. Benzodiazepines
2. Flumazenil
3. β- Carboline
4. None of the above

Correct answer: 3. β- Carboline

Explanation: β - Carboline is the inverse agonist.
Benzodiazepines are full agonists that open chloride channels by acting on GABA receptors.
Flumazenil is antagonist for Benzodiazepines given to treat toxicity.